Which specimen shouldn't be refrigerated before primary innoculation?
1. CSF
2. Urine
3. Sputum
4. Pus

Correct answer: 1. CSF

Explanation: Ref: Ananthnarayan R. Paniker CKJ. Textbook of Microbiology. 8th Edition. Hyderabad: Universities Press; 2009. Pg. 332Explanation:Haemophilus influenzae is an important cause of meningitis.The disease is more common in children between two months and three years of age. Infections are caused by the capsulated strains, type b accounting for most cases.CSF specimen from suspected children should be plated promptly on a suitable medium such as blood agar or chocolate agar and incubated in an environment of 5-10 per cent C()2 and high humidity.As this bacillus is very sensitive to low temperatures. CSF specimens should never be refrigerated before inoculation.